CURB 65 criteria includes all EXCEPT:
1. Age is always more than or equal to 65 years
2. Respiratory rate more than 30/min
3. Systolic Blood pressure is more than 90mmHg
4. BUN level is more than > 7 mmol/L

Correct answer: 3. Systolic Blood pressure is more than 90mmHg

Explanation: Ans. (c) Systolic Blood pressure is more than 90mmHgRef: Harrisons 17h ed. Ch. 251* CURB 65 also known as the CURB criteria is a clinical prediction rule that has been validated for predicting mortality in Community Acquired Pnemonia.* The CURB-65 criteria includes five variables:# Confusion# Urea >7 mmol/L# Respiratory rate > 30/min# Blood pressure, systolic < 90 mmHg or diastolic < 60 mmHg; and# Age >65 years* Each criteria has one point which predicts the mortality in CAP.# Score 0: 30-day mortality rate is 1.5%- can be treated outside the hospital.# Score 2: 30-day mortality rate is 9.2%, and patients should be admitted to the hospital.# Score 3: mortality rates are 22% overall; these patients may require admission to an ICU.